A 16-year-old female presents with primary amenorrhea and raised FSH. On examination, her height was 58 inches. What would be the histopathological finding in the ovary?
1. Absence of oocytes in the ovaries (streak ovaries)
2. Mucinous cystadenoma
3. Psamomma bodies
4. Hemorrhagic Corpus Leuteum

Correct answer: 1. Absence of oocytes in the ovaries (streak ovaries)

Explanation: Ans. (a) Absence of oocytes in the ovaries (streak ovaries)(Ref: Robbins 9th/pg 166-167; 8th/pg 165-166)In this question, the patient is presenting with primary amenorrhea and raised FSH, along with short stature(Given Height =58 inches, which is less than 5th percentile of expected at 16 years age). All these features are suggestive of Turner Syndrome.Infertility Q due to rudimentary uterus and streak ovaries is an important feature Q, as ovaries are reduced to atrophic fibrous strands without ova and follicles in Turner syndrome